Which of the following drug is not used as emergency contraception?
1. Levonorgestrol
2. Mifepristone
3. Ulipristal
4. Raloxifene

Correct answer: 4. Raloxifene

Explanation: Emergency Contraceptives 1. OCPs - estrogen + progesterone (decrease the risk of endometrial and ovarian cancer) 2. Progesterone only pills - Levonorgesterol 3. Mifepristone - 10 mg single dose - All these drugs should be used with in 72 hrs. of unprotected sexual intercourse 4. Ulipristal - 30 mg (can be used upto 120 hrs) 5. Raloxifene is a SERM used for osteoporosis.